Alkyl organophosphate is
1. Parathion
2. Follidol
3. Diazinon
4. Malathion

Correct answer: 4. Malathion

Explanation: Ans. is 'd' i.e., Malathion Alkyl phosphatase :Malathione, HETP (hexa ethyl tetra phosphate), TEPP (tetra ethyl pyrophosphate or tetron), OMPA (octa methyl pyrophosphate), dimefox, isopestox, demeton, trichlorfon, dipterex.Aryl phosphatase :Parathion, Follidol,or nitrostigmine or killphos or ekato), paraoxon, Diazinon (diazion or TIK 20), methyl-parathion (metacide), chlorthion.